The six keys to normal occlusion was introduced by:
1. Dewey
2. Andrews
3. Tweed
4. Angle

Correct answer: 2. Andrews